A 19 year old girl sustained blunt abdominal trauma. She was diagnosed of having splenic rupture. Her pulse is 110/min and BP is normal. She is tachypnoes with respiratory rate of 22/min and she is anxious. Her approximate blood loss is -
1. < 750 ml
2. 750 - 1500ml
3. 1500 - 2000ml
4. > 2000ml

Correct answer: 2. 750 - 1500ml

Explanation: Answer- B. 750 - 1500mlBlood loss- 750- 1500 ml